Primary receptor cells of hearing -
1. Supporting cell
2. Tectorial membrane
3. Tunnel ofcorti
4. Hair cell

Correct answer: 4. Hair cell

Explanation: Ans. is 'd' i.e., Hair cells o Sense organ of hearing-Organ of Cortio Sensory cells of hearing-Hair cells (mainly outer)o Sensory receptors of hearing-Hair (cilia) of hair ceils